Non-typable H. influenzae can cause all except:
1. Meningitis
2. Otitis media
3. Puerperal infection
4. Pneumonia

Correct answer: 1. Meningitis

Explanation: Ans. (a) Meningitis Strains of Hemophilus which lacks polysaccharide capsule are referred as Non-typable Strains Non-typable H. influenza is the commonest bacterial cause of exacerbations of COPD. They also cause community acquired pneumonia, otitis media (3rd most common cause after pneumococci, and Moraxella catarrhalis ), puerperal sepsis, neonatal bacteraemia, sinusitis.